Immunization is-
1. Primary prevention
2. Secondary prevention
3. Tertiary prevention
4. Disability limitation

Correct answer: 1. Primary prevention

Explanation: Ans. is 'a' i.e., Primary prevention Level of preventionExampleso Primordial preventiono Discouragement from adapting a harmful lifestyle, e.g. smokingo Primary preventiono Immunization (vaccination)o Chemoprophylaxiso Nutritional supplementation programmeso Chlorination of watero Using a mosquito neto Health educationo Secondary preventiono Screening testo Case finding programmeso Early diagnosis & treatmento Tertiary preventiono Disability limitation* Resting the affected limb in neutral position in PRPP to prevent deformityo Rehabilitation* Estabilishing schools for blind* Provision of aids for crippled* Reconstructive surgery in leprosy* Muscle re-education and graded exercise in neurological disorder like polio* Changing profession for a more suitable one